Which of the following is true about Nephron function:
1. Ascending thick limb is permeable to water
2. Descending thin limb is impermeable to water
3. Osmolality of intra-tubular content in DCT is more than surrounding interstitution
4. Osmolality of intratubular content in PCT is isotonic to surrounding interstiti um

Correct answer: 4. Osmolality of intratubular content in PCT is isotonic to surrounding interstiti um

Explanation: D i.e. Osmolality of intratubular content in PCT is isotonic to surrounding interstitiumAt the end of proximal tubule 60-70% of filtered solute is reabsorbed & also 60-70% of filtered water is reabsorbedQ. Thus in the proximal tubule, water moves passively out of the tubule, along osmotic gradients set up by active transport of solutes and Isotonicity is maintainedQ.Intratubular content in DCT is HypotonicQ This is because of two factors:a) The distal tubule, particularly its first part, is relatively impermeable to water.b) The ascending limb of loop of Henle and the DCT have a strong & active system of reabsorption of solutes. Active transport of Nat, co- transport of Kt /C1 occurs out of thick ascending limb, thereby diluting the contents of DCT. Thus while most of the solutes are reabsorbed, water remains behind, causing dilution of tubular fluid.Permeability and transport, in various segments of nephronSegmentsPermeabilityActive transportof N a+OsmolalityH20UreaNaC1* Proximal tubulePermeablePermeablePermeablePresentIsosmoticQ* Loop of Henle - Thin descending limb4+++-0HypertonicQ- Thin ascending limb0+4+0Hypotonic- Thick ascending limb0+-+-4+Hypotonic* Distal convoluted tubule+-+-+-3+HypotonicQ* Collecting tubule - Corticle tubule3+*0+-2+Isotonic- Outer medullary portion3+*0+-1+ - Inner medullary portion3+*3++-1+Hypertonic* Indicates presence of vasopressinQ.The segments of nephron that are impermeable to water: Thin ascending limbQ - Thick ascending limbQ.- 1st part of distal tubule (DCT)Q